Microorganism motile at 25degC but not motile at 37oC is:
1. Listeria monocytogenes
2. Campylobacter
3. Streptococcus agalactiae
4. E. coli

Correct answer: 1. Listeria monocytogenes

Explanation: Listeria monocytogenes shows differential motility Motile at 25oC -tumbling motility Non motile at 37oC